All are features of early gastric carcinoma except:
1. Mucosal involvement
2. Submucosal involvement
3. Muscularis propria involvement
4. Dysplasia with Ca in situ

Correct answer: 3. Muscularis propria involvement

Explanation: Ans. is 'c' ie Muscularis Propria involvement Early gastric cancer is defined as adenocarcinoma limited to the mucosa and submucosa of the stomach regardless of the lymphonodi status.Approximately 10% of patients with early gastric cancer are found to have lymph node metastasis on presentation.Overall cure rate with adequate gastric resection and lymphadenectomy is -95%.It has the best prognosis among stomach cancer subtypes.